Support of prostate is ?
1. Pubococcygeus
2. Ischiococcygeus
3. Ilioccygeus
4. None of the above

Correct answer: 1. Pubococcygeus

Explanation: Ans. is 'a' i.e., Pubococcygeus Levator ani muscle is divisible into following parts :1) Puboccygeus part Anterior fibers of this part closely surround the prostate, in males, to form, levator prostatae. In the female these fibres surround the vagina and form sphincter vaginae. In both cases these anterior fibres are inserted into the perineal body. Middle fibers constitute the puborectalis. They partly form a loop or sling around the anorectal junction; and are partly continuous with longitudinal muscle coat of the rectum. Posterior fibers are attached to anococcygeal ligament and tip of coccyx. Iliococcygeus part This is inserted to anococcygeal ligament and last two pieces of coccyx. Ischiococcygeus part (or coccygeus) It forms posterior part of pelvic floor.